Agglutination with 'O' antigen of S. typhi is inhibited by :-
1. Vi Ag
2. Flageller
3. F antigen
4. All the above

Correct answer: 1. Vi Ag

Explanation: Agglutination with 'O' antigen of S. typhi is inhibited by Vi antigen. Vi antigen: Surface polysaccharide envelope or capsular antigen covering the O antigen. Prevents its agglutination with O antiserum. Phage typing of S. typhi can be done by using Vi specific bacteriophages. Used for vaccination.